The most sensitive indicator of environmental iodine deficiency is
1. Serum T4 levels
2. Serum T3 levels
3. Urine iodine excretion
4. Neonatal hypothyroidism

Correct answer: 4. Neonatal hypothyroidism

Explanation: Ans. d. Neonatal hypothyroidism